Which of the following is an RNA virus?
1. Hepatitis B virus
2. Hepatitis C virus
3. Herpes virus
4. Adenovirus

Correct answer: 2. Hepatitis C virus

Explanation: Ref: Ananthnarayan and Paniker's Textbook of Microbiology, 8th ed. pg. 545DNA and RNA virusDNA virusRNA virus* Pox virus: largest virus* Parvovirus: smallest virus* Adenovirus* Papovavirus* Hepadna virus* Herpesvirus* Rotavirus: only double stranded RNA virus* Orthomyxovirus* Reovirus* Bunya virus* Arena virus* Hepatitis A, C, D, E virus* Picorna, polio, coxsackie, echo and entero virus.